MHC III codes for
1. TNF alpha
2. IL 1
3. HLA A
4. HLAB

Correct answer: 1. TNF alpha

Explanation: Ans. (a) TNF alpha(Ref: Robbins 9th/pg 195; 8th/pg 191)MHC III: No direct role in immune system QCodes for:complement components C2, C4, properdin, factor B QTNF, HSP-70, Tyrosine hydroxylase